In an infant anaesthesia is given by using –
1. Open mask ventilation
2. Non – breathing circuit
3. Magill's system
4. Ayre's T. Piece

Correct answer: 4. Ayre's T. Piece